Corneal Xerosis corresponds to which stage of Xerophthalmia (As per as WHO)
1. X 1B
2. X 2
3. X 3A
4. X 3 B

Correct answer: 2. X 2

Explanation: X2 is corneal xerosis as per as WHO classification of xerophthalmia